Draining abscess by cutting a window in the bone is
1. Hiltons method
2. Trephination
3. Marsupialisation
4. Odontectomy

Correct answer: 2. Trephination